All are features of entrance wound by a bullet except
1. Size of wound -Smaller than the diameter of bullet due to traction of skin
2. Edges will be everted
3. Burning, blackening and tattooing may be present
4. Abrasion collar and grease collar may be present

Correct answer: 2. Edges will be everted

Explanation: Features of entrance wound Size of wound- Smaller than the diameter of bullet due to skin traction Edges inverted Burning, blackening and tattooing may be present Abrasion collar and grease collar may be present Bleeding less No protrusion of fat and other tissue Tissues under and around the wound may be cherry red in color due to carboxyhemoglobin. Fibres of clothing may be driven into the wound On the skull, bevelling seen on the inner table. Ref: FORENSIC MEDICINE AND TOXICOLOGY Dr PC IGNATIUS THIRD EDITION PAGE 155